Bisphosphonate-induced osteomalacia is common with
1. Alendronate
2. Pamidronate
3. Zolendronate
4. Etidronate

Correct answer: 4. Etidronate

Explanation: Etidronate is 1st gen bisphosphonate The first generation bisphosphonates, such as etidronate (ETD), a non-nitrogen containing bisphosphonate, displays considerable anti-mineralization activity but is a relatively low-potency inhibitor of osteoclasts. Bisphosphonate-related osteonecrosis of the jaw (BRONJ) is a condition found in patients who have received intravenous and oral forms of bisphosphonate therapy for various bone-related conditions. it manifests as exposed, nonvital bone involving the maxillofacial structures. it is caused by to dentoalveolar structures that have a limited capacity for bone healing due to the effects of bisphosphonate therapy. REF KD tripathi 8th ed